Decidual casts bleeding per vaginum suggestive of :
1. Inevitable abortion
2. Threatened abortion
3. Tubal abortion
4. None

Correct answer: 3. Tubal abortion

Explanation: Tubal abortion